All are autosomal recessive EXCEPT:
1. Sickle cell anemia
2. Phenylketonuria
3. Marfan's syndrome
4. Wilson's disease

Correct answer: 3. Marfan's syndrome

Explanation: Ans. C i.e. Marfan's syndrome Marfan syndrome is a disorder of connective tissue, manifested principally by changes in the skeleton, eyes, and cardiovascular system. It is transmitted by autosomal dominant inheritance.